Ambiguous genitalia is not seen in:
1. Gonadal agenesis
2. Gonadal dysgenesis
3. Hermaphroditism
4. Super female (47 XXX)

Correct answer: 4. Super female (47 XXX)